The example of syndesmosis type of joint is ?
1. Sacroiliac
2. Inferior tibiofibular
3. Superior tibiofibular
4. Mid tarsal

Correct answer: 2. Inferior tibiofibular

Explanation: B i.e. Inferior tibiofibular